JW 17 according to Grossman’s classification is
1. Exploring instrument
2. Extirpating instrument
3. Cleaning and shaping instrument
4. Obturating instrument

Correct answer: 1. Exploring instrument